All of the following rae common causes of epidemic after a disaster except -
1. Leptospirosis
2. Rickettsia
3. Leishmaniasis
4. Acute respiratory infections

Correct answer: 3. Leishmaniasis

Explanation: After a disaster many disease can occur through infection through water, food, vector and due to improper sanitation. Dengue fever, leptospirosis,typhus Nad plagues and the common vector borne diseases as flood water provide ample breeding opportunities for mosquito. Leshmaniasis is caused by parasite. REF. PARK'S TEXTBOOK OF PREVENTIVE AND SOCIAL MEDICAL 21ST EDITION. PAGE NO - 739)